Transamination reaction requires
1. Biotin
2. Folic acid
3. Pyridoxin
4. Niacin

Correct answer: 3. Pyridoxin

Explanation: The enzyme catalyzing transamination reaction as a group are known as aminotransferases. These enzymes have pyridoxal phosphate as prosthetic group,Ref: DM Vasudevan - Textbook of Biochemistry, 7th edition, page no: 201, fig 15.8